According to WHO, all are true about Reduced osmolarity ORS (in mmol/L) except:
1. Glucose -90
2. Na-75
3. Potassium - 20
4. Citrate - 10

Correct answer: 1. Glucose -90

Explanation: Reduced Osmolarity ORS - Na+ 75 mmol /L K+ 20 mmol /L Cl- 65 mmol/L Citrate 10 mmol/L Glucose 75 mmol/L Total 245 mmol/L